A 25 year old university student had a fight with the neighbouring boy. On the next day, while out, he started feeling that two men in police uniform were observing this movement. When he reached home in the evening he was frightened. He expressed that police was after him and would arrest him. His symptoms represent -
1. Delusion of persecution
2. Ideas of reference
3. Passivity
4. Thought insertion

Correct answer: 1. Delusion of persecution

Explanation: Similar to previous question, patient experiences that he is being persecuted against (police is after him and would arrest him, he fights with neighbour).